Function of cholesterol in plasma membrane -
1. Helps in transport of ions
2. Helps in exocytosis
3. Maintains fluidity
4. Helps in synthesis of bile acids

Correct answer: 3. Maintains fluidity

Explanation: Ans. is 'c' i.e.. Maintains fluidity o Roles of cholesterole in cell membrane areCholesterol modifies the fluidity of membrane in two wayAt temperatures below Tm - Increases fluidity.At iemperatures above Tm - Decreases fluidity.Cholesterol affects essential cellular functions through the modulation of particular membrane enzymes.Cholesterol provides cell membrane some extra support.o Option d requires specific mention here. Bile acids are derived from cholesterol. But it is not in plasma membrane, rather it is from intracellular cholesterol.